What is the mode of transmission involved in congenital cataract?
1. Autosomal recessive
2. X-linked recessive
3. X-linked dominant
4. Autosomal dominant

Correct answer: 4. Autosomal dominant

Explanation: Autosomal doninant inheritance is the most common aetiological factor for congenital cataract. Ref: Kanski 8th/e Chap.9,p.297.